Epley's manoeuvre is used in
1. Positional vertigo
2. Otosclerosis
3. ASOM
4. CSOM

Correct answer: 1. Positional vertigo

Explanation: Epley's manoeuvre : This is to reposition the otoconial debris from the posterior semicircular canal back into utricle. Done in benign paroxysmal positional vertigo Ref : Dhingra 7e pg 47.